Dislocation of lens is seen in all the following condition except -
1. Congential Rubella
2. Marchesani's Syndrome
3. Marfan Syndrome
4. Homocystimuria

Correct answer: 1. Congential Rubella

Explanation: Dislocation of lens types: I. Congenital displacements: (a) Simple ectopia lentis:In this condition displacement is bilaterally symmetrical and usually upwards. It is transmitted by autosomal dominant inheritance. (b) Ectopia lentis et pupillae:It is characterised by displacement of the lens associated with slit-shaped pupil which is displaced in the opposite direction.Other associations may be cataract, glaucoma and retinal detachment. (c) Ectopia lentis with systemic anomalies are: 1. Marfan's syndrome 2. Homocystinuria 3. Weil-Marchesani syndrome. 4. Ehlers-Danlos syndrome 5. Hyperlysinaemia 6. Stickler syndrome 7. Sulphite oxidase deficiency. II. Traumatic displacement of the lens III. Consecutive or spontaneous displacement